Dental papilla gives rise to:
1. Pulp only
2. Pulp and dentin
3. Pulp and periodontal ligament
4. All of the above

Correct answer: 2. Pulp and dentin

Explanation: Components of Tooth Germ During Cap Stage